A patient with alcoholic liver failure requires general anaesthesia for surgery. The agent to be used –
1. Ether
2. Halothane
3. Methoxyflurane
4. Isoflurane

Correct answer: 4. Isoflurane

Explanation: Isoflurane is the volatile agent of choice in liver disease as it has the least effect on hepatic blood flow.